Injection of muscarinic agonist in conjunctival sac will lead to all of the following except
1. Conjunctival and uveal hyperemia
2. Ciliary spasm
3. Miosis
4. Decreased secretion from ciliary epithelium

Correct answer: 4. Decreased secretion from ciliary epithelium

Explanation: (Refer: AK Khurana Comprehensive Ophthalmology, 6th edition, pg no. 449)Effects of muscarinic agentsBlood vessel dilation causing conjunctival and uveal hyperemiaCiliary spasmMiosisIncreased aqueous outflow due to the opening of trabecular meshwork due to ciliary muscle contraction